Corporo-basal index is useful for determination of
1. Stature
2. Sex
3. Age
4. Race

Correct answer: 2. Sex

Explanation: Corporobasal Index = Breadth of first sacral vertebra *100/breadth of the base of sacrum Used to determine sex Ref - Narayana Reddy 17th edition page 50 table 4-4. traits diagnostic of Sex